Which of the following poison retards putrefaction-
1. Organophosphorus
2. Carbolic acid
3. Oxalic acid
4. Hydrogen chloride

Correct answer: 2. Carbolic acid

Explanation: Carbolic acid retards putrefaction. Poisons which retard putrefaction are carbolic acid, arsenic, strychnine and zinc chloride.